Recurrent ischemic events following thrombolysis has been patho-physiologically linked to which of the following factors?
1. Triglycerides
2. Fibrinopeptide A
3. Lipoprotein (a)
4. Antibodies to thrombolytic agents

Correct answer: 2. Fibrinopeptide A

Explanation: Measurement of fibrinopeptide level is a useful criteria for detecting ongoing or recurrent clot formation. It also helps in identifying patients at risk for complication of continuing or repeated coronary thrombosis. In a case of MI, following fibrinolytic therapy levels of FPA usually decreases whereas it remains elevated in patients failing reperfusion and in patients with early reocclusion after initial reperfusion.Ref: Fibrinolytic and Antithrombotic Therapy: Theory, Practice and Management By Richard C. Becke, Page 444.